Inhibition of prolactin is caused by: (Repeat)
1. Dopamine
2. Dobutamine
3. TRH
4. AT-II

Correct answer: 1. Dopamine

Explanation: Ans: A (Dopamine) Ref: Pal GK, Pituitary Gland: The Anterior Pituitary. In: Textbook of Medical Physiology, Abuja Publishing House, 2007: 44:332Explanation:Regulation of Prolactin SecretionProlaction Increased by:PRFSleep, stress, breast feedingAlso released by TRH and hormones in the glucagon family (secretin, glucagon, VIP and gastric inhibitory polypeptide )AT-IIOxytocinDopamine antagonist (phenothiazine)Adrenergic blockersSerotonin agonistsProlactin Decreased by:DopamineSomatostatinProlactinGABA